True about carbuncle is all except
1. Infective gangrene of skin and subcutaneous tissue
2. Nape of neck is common site
3. Cribriform rash is seen
4. Pseudomonas aeruginosa is common causative

Correct answer: 4. Pseudomonas aeruginosa is common causative

Explanation: Staphylococcus aureus is main cause of carbuncle.